Axiopulpal line angle is bevelled in amalgam preparation to facilitate
1. Bulk for amalgam in this critical zone
2. Easy condensation of amalgam
3. For containment of amalgam within the matrix
4. To increase the strength of remaining tooth structure

Correct answer: 1. Bulk for amalgam in this critical zone